High-risk factor for gestational hypertension include all except:
1. BP 150\/100 mm of Hg
2. Gestation age < 30 weeks
3. IUGR
4. Polyhydramnios

Correct answer: 4. Polyhydramnios

Explanation: polyhydaminos is defined as excess of amniotic fluid more than 2000ml.The causes are fetal structural malformations,chromosomal anomalies,multiple pregnancy,immune hydrops fetalis,sacrococccygeal teratoma,maternal diabetes,and maternal substance abuse,chorioangioma of placenta. Refer page no 213 of Text book of obstetrics,sheila balakrishnan,2 nd edition.